Denominator in crude death rate is
1. Mid-year population
2. Mid-year females 15-44 years
3. Mid-year married females 15-44 years
4. Mid-year males 15-44 years

Correct answer: 1. Mid-year population

Explanation: Crude death rate is defined as the number of deaths per 1000 estimated mid year population in one year, in a given place. Crude death rate = ( Number of deaths during the year / Mid year population ) x 1000CDR summaries the effects of two factors:population composition age specific death rates (reflects the probability of dying)(Refer: K. Park's Textbook of Preventive and Social medicine, 24th edition, pg no: 62)